Increased insulin secretion from beta cells is doneby ?
1. Metformin
2. Pramlidine
3. Repaglinide
4. Pioglitazone

Correct answer: 3. Repaglinide

Explanation: . Ans. is 'c' i.e., Repaglinide Oral hypoglycemic drugs may be divided into two groups:? 1. Group 1 These drugs reduce plasma glucose by stimulating insulin production, therefore called insulin secretogogues. Hypoglycemia is a well known side effect. Examples are: Sulfonylureas: first generation (chlorpropamide, tobutamide); second generation (Glimipiride, glyburide, glipizide, gliclazide). Megalitinnide/D-phenylalanine analogues: Nateglinide, Rapaglinide. 2. Group 2 These drugs reduce blood glucose without stimulating insulin production, therefore are insulin non-secretogogues. These durgs do not cuase hypoglycemia when used alone and can cause hypoglycemia, only when used with other oral hypoglycemics. Examples are: Biguanides: Metformin, Phenformin Thiazolidinediones: Rosiglitazone, Pioglitazone, Troglitazone. a-glucosidase inhibitors: Acarbose, miglital.